Not a major criteria of Gurd
1. Subconjunctival petechiae
2. Thrombocytopenia
3. PaO2 <60mmHg
4. Pulmonary edema

Correct answer: 2. Thrombocytopenia